Which of the following statements about Nutritional Surveillance is not TRUE?
1. It is a diagnostic approach
2. Assessment involves precise measurements of weight and height
3. Assessment is done by trained persons
4. Done in all children < 5 years

Correct answer: 4. Done in all children < 5 years

Explanation: Nutritional Surveillance is not done in all children less than 5 years of age (which is preferred for Growth Monitoring). But it rather conducted among a specific represented sample of children from the community. The whole surveillance is based on a diagnostic approach thus it has become an intervention. The assessment is done only by trained workers and the measurement of weight and height taken for the surveillance has to be very precise in its values. Ref: Park's Textbook of Preventive and Social Medicine 19th Edition, Pages 518